Tumorgenesis in Aging is due to:
1. Telomerase reactivation
2. Telomerase inactivation
3. Increased apoptosis
4. Suppression of proto-oncogenes

Correct answer: 1. Telomerase reactivation

Explanation: Telomerase reactivation